An eleven year old boy is having Tinea capitis on his scalp. Which of the following is the most appropriate line of treatment of this condition?
1. Shaving of the scalp
2. Oral griseofulvin therapy
3. Topical griseofulvin therapy
4. Selenium sulphide shampoo

Correct answer: 2. Oral griseofulvin therapy

Explanation: Tinea capitis is the infection of skin of scalp and hair by fungi. Microsporium and Trichophyton tonsurans are the most common causative organisms. Oral Griseofulvin is the drug of choice for Tinea capitis. Other oral drugs which are useful includes ketoconazole, itraconazole and tebinafine. Ref: Oski's Essential Pediatrics By Michael Crocetti, 2nd Edition